'Malignant pustule' is -
1. Anthrax ulcer
2. Proliferating rodent ulcer
3. Malignant melanoma
4. Marjolin's ulcer

Correct answer: 1. Anthrax ulcer

Explanation: Ans. is `a' i.e., Anthrax ulcer Cutaneous anthrax is also called malignant pustule. The lesion starts as macule then typically progress through papular and vesicular or pustular stages to the formation of an ulcer with a blackened necrotic eschar.